Transvestism is :
1. Wearing clothes of opposite sex
2. Touching ones own private parts to others
3. Desire for sexual intercourse with dead bodies
4. Orgasm from visualisation part of the body of a woman

Correct answer: 1. Wearing clothes of opposite sex

Explanation: A i.e. Wearing clothes of opposite sex